Raloxifene is used in -
1. Osteoporosis
2. Cervical cancer
3. Osteopetrosis
4. Fibroadenoma

Correct answer: 1. Osteoporosis

Explanation: Ans. is 'a' i.e., Osteoporosis Raloxifeno Raloxifen is a recently introduced selective estrogen receptor modulator (SERM)Mechanism of action:Partial agonist inAntagonist action ino Boneo Endometriumo Cardiovascular systemo Breasto It has high affinity for both ER a and ER bo It has a distinct DNA target: 'Raloxifence response elements' (RRE)Actions:Prevents bone loss in post menopausal women: (BMD may even increase 0.9 to 3.4% over years)Reduces the risk of vertebral fractures to half: (but not that of long bones except ankle)Reduces LDL cholesterol. There is no increase in HDL or tryglyceride levels. It may have atherogenic potentialReduces risk of breast cancer (by 65%) (protection was confined to Estrogen receptor positive breast cancer)o Raloxifen does not stimulate endometrial proliferation and there is no increase in risk of endometrial carcinomao Raloxifen does not relieve vasomotor symptoms of menopause. Rather hot flushes may be induced in some women,o Raloxifen is an effective alternative to HRT for prevention and treatment of osteroporosis in post menopausal women. It has no use in men.Side effects:Hot flushes and leg cramps are generally mild and occasional vaginal bleeding may be seenIncrease in risk of deep vein thrombosis and pulmonary embolism.